Acetylcholine is secreted in eyes by
1. Bipolar cells
2. Ganglion cells
3. Horizontal cells
4. Amacrine cells

Correct answer: 4. Amacrine cells

Explanation: Amacrine cells are inhibitory neurons, and they project their dendritic arbors onto the inner plexiform layer (IPL), they interact with retinal ganglion cells and/or bipolar cells Ref: guyton and hall textbook of medical physiology 12 edition page number:731,732,733